The normal resting heart rate for a newborn is
1. 75 -115 bpm
2. 85-125 bpm
3. 110-150 bpm
4. 140-200 bpm

Correct answer: 3. 110-150 bpm

Explanation: The normal resting heart rate in the newborn is 110-140bpm but may vary from 90 beats /min in a relaxed state to 180 bpm during activity.